Agent of Chancroid is
1. H.influenzae
2. H.aegyptius
3. H.ducreyi
4. H.haemolyticus

Correct answer: 3. H.ducreyi

Explanation: Chancroid is an STD that presents as a genital ulcer. It is caused by H.ducreyi